Cells involved in humoral immunity ?
1. B-cells
2. T-cells
3. Helper cells
4. Dendritic cells

Correct answer: 1. B-cells

Explanation: Ans. is 'a' i.e., B-cells Cell mediated (cellular) immunity ---)T-cells. Humoral immunity --o B-cells and antibodies.